Secondary glaucoma in early stage of herpes zoster ophthalmlcus occurs due to
1. Trabeculitis
2. Hypersecretion of aqueous humour
3. Haemorrhagic hypopyon
4. lridocyclitis

Correct answer: 1. Trabeculitis

Explanation: HERPES ZOSTER OPHTHALMICUS Ocular lesions: Ocular complications usually appear at the subsidence of skin eruptions and may present as a combination of two or more of the following lesions: 1. Conjunctivitis: It is one of the most common complication of herpes zoster. It may occur as mucopurulent conjunctivitis with petechial haemorrhages or acute follicular conjunctivitis with regional lymphadenopathy. Sometimes, severe necrotizing membranous inflammation may be seen. 2. Zoster keratitis: May precede the neuralgia or skin lesions. 3. Episcleritis and scleritis: These usually appear at the onset of the rash but are frequently concealed by the overlying conjunctivitis. 4. Iridocyclitis: It is of a frequent occurrence and may or may not be associated with keratitis. There may be associated hypopyon and hyphaema (acute haemorrhagic uveitis). 5. Acute retinal necrosis: 6. Anterior segment necrosis and phthisis bulbi. 7. Secondary glaucoma: It may occur due to trabeculitis in early stages and synechial angle closure in late stages. Ref:- A K KHURANA; pg num:-104,105